Which of the following is true regarding the offspring of those with Huntington’s disease
1. Half of the offspring are at risk only if the affected parent is male
2. Half of the offspring are at risk only if the affected parent is female
3. Half of the offspring are at risk for the disease
4. Half of the offspring are at risk if either parent is symptomatic for the disease before age of 30

Correct answer: 3. Half of the offspring are at risk for the disease

Explanation: As Huntington's disease is an autosomal dominant disease half of the offspring are affected . Age at which a patient becomes symptomatic is variable and has no effect on probability of transmitting the disease.